Larynx extends from -
1. C2 - C7
2. Cl - C4
3. C5 - C6
4. C3 - C6

Correct answer: 4. C3 - C6

Explanation: The larynx is situated in front of hypopharynx opposite third to sixth cervical vertebrae.